Cerebellar ataxia is caused by which anticancer drug
1. Cyclophosphamide
2. Chloramphenicol
3. Cytarabine
4. Vinblastine

Correct answer: 3. Cytarabine

Explanation: Cytarabine is a pyrimidine analogue which can cause cerebellar ataxia.